After a thorough study of socio-demographic characteristics of a population in Dhok Ratta, a relevant method of health education against smoking was employed to this population. Upon assessing the population habits even after lapse of 2 years, no change in the behaviour of the smokers was note what is likely to be missing in this programme to achieve the desired results?
1. Knowledge of beliefs
2. Knowledge of cultures
3. Reinforcement
4. Required devotion

Correct answer: 3. Reinforcement